True about Spermicidal agents is all of the following, EXCEPT?
1. Contain Non-ionic surfactants causing osmotic changes resulting in the killing of sperms.
2. They act as a Physical barrier to the sperms transport
3. 'Immediate douching' is a must after intercourse to avoid Irritant action
4. Do Not have STD/HIV protection action

Correct answer: 3. 'Immediate douching' is a must after intercourse to avoid Irritant action

Explanation: Spermicides function by : Providing a physical barrier to sperm penetration These have chemical spermicidal action i.e. nonionic surfactants that alter sperm surface membrane permeability, causing osmotic changes resulting in the killing of sperms The active ingredient is nonoxynol-9 or octoxynol-9. Improve the contraceptive effect of barrier methods like diaphragms, cervical caps, and condoms. No STD protection provided by these Spermicides must be deposited high in the vagina in contact with the cervix shortly before intercourse. Their duration of maximal effectiveness is usually no more than 1 hour, and thereafter, they must be reinserted before repeat intercourse. Douching is avoided for at least 6 hours after coitus.